Dalrymple's sign of ocular Graves' disease refers to:
1. Retraction of the upper lid
2. Lid lag
3. Proptosis
4. All of the above combinedly

Correct answer: 1. Retraction of the upper lid

Explanation: Ans. Retraction of the upper lid